Which of the following is the most common cause of a mixed cystic and solid suprasellar mass seen on cranial MR scan of a 10 years old child:
1. Pituitary Adenoma
2. Craniopharyngioma
3. Optic chiasma glioma
4. Germinoma

Correct answer: 2. Craniopharyngioma

Explanation: B i.e. Craniopharyngioma